A patient on lithium therapy was found to be hypertensive also. Which of the following antihypertensive drugs is contraindicated in a patient on lithium therapy in order to prevent toxicity?
1. Clonidine
2. Beta blockers
3. Calcium channel blockers
4. Diuretics

Correct answer: 4. Diuretics

Explanation: Diuretics (thiazide, furosemide) by causing Na+ loss promote proximal tubular reabsorption of Na+ as well as Li+ --plasma levels of lithium rise. ref : KD Tripati 8th ed.